Name of the curved laryngoscope ?
1. Miller
2. Macintosh
3. Muller
4. Merkel

Correct answer: 2. Macintosh

Explanation: Laryngoscopy (larynx + scopy) is a medical procedure that is used to obtain a view of the vocal folds and the glottis. Following are the types of the available laryngoscopes :- i) Straight blade: Miller ii) Curved blade: Macintosh